Which of the following statements regarding the schilling test for vitamin B|2 malabsorption is most accurate?
1. The schilling test results are abnormal in patients with dietary vitamin B,,deficiency
2. In patients with pernicious anemia, the results of the schilling test normalize after oral administration of intrinsic factor
3. In patients with ileal disease, the results of the schilling test normalize after oral administration of intrinsic factor
4. Pancreatic exocrine insufficiency does not cause schilling test results to be abnormal

Correct answer: 2. In patients with pernicious anemia, the results of the schilling test normalize after oral administration of intrinsic factor

Explanation: Ans. is 'b' i.e., In patients with pernicious anemia, the results of the schilling test normalize after oral administration of intrinsic factor An abnormal Schilling Is test that corrects or normalizes after administration of intrinsicfactor suggests a diagnosis of Pernicious Anemia (Intrinsic Factor Deficiency).Shilling '.s' test corrects after the administration ofo Intrinsic factor-Pernicious anemiao Pancreatic enzyme-Exocrine pancreatic deficiencyo Five day antibiotic-Bacterial overgrowth syndromeso Does not correct after administration of any of the above-Ileal dysfunction